Which of the following is a good prognostic factor in ALL:
1. High WBC count
2. Male sex
3. Age < 2 years
4. Hyperdiploidy

Correct answer: 4. Hyperdiploidy

Explanation: Answer is D (Hyperdiploidy): Hyperdiploidy is associated with a good prognosis Hyperdiploidy is associated with a good prognosis Patients with hyperdiploidy (>50 chromosomes) or DNA index > 0.16 have a favourable prognosis - Age < 2 years has a poor prognosis Patients who are very young (< 2 years) and older patients (> 10 years) tend to have a worse prognosis- lthough most textbooks use the criteria of Age < 1 year to define a poor prognostic factor, Age < 2 year has been mentioned as a poor prognostic factor in certain textbooks including Hoffman's Hematology (4th/1158) Since Hyperdiploidy provided amongst the option is an established good prognostic factor, this is selected as the single best answer of choice. High WBC count is associated with a poor prognosis Initial leukocyte count at diagnosis has proved to be an important prognostic factor in virtually every ALL study. Different studies (textbooks) quote different values for the initial WBC count that is associated with a poor prognosis but uniformly a high WBC count carries a poor prognosis. Different text books Favourable WBC count Unfavourable WBC count Wintrobe's Hematology < 10,000 > 20,000 Hoffman Hematology < 50,000 > 50,000 Manual of Clinical oncology <30,000 >30,000 Inference Low WBC count High WBC count Male sex is associated with a poor prognosis 'Female patients have a rare favourable prognosis'